Bacteria implicated in dental caries
1. Streptococcus mutans
2. Pneumococci
3. Streptococcus pyogenes
4. Staphylococcus aureus

Correct answer: 1. Streptococcus mutans

Explanation: Ans. is 'a' i.e., streptococcus mutans Viridans streptococci is implicated in causing Dental caries.Various species of viridans streptococci are -S. Salivarius S. Mitis S. Sanguis S. MutansThese bacterias are a part of normal flora of the mouth.They can cause bacteremias through minor trauma such as eating, brushing md flossing, these bacteremias can then cause endocarditis.